Diphtheria toxin acts by
1. Inhibiting acetyl choline release
2. Inhibiting glucose transport
3. Inhibiting levels of cyclic AMP
4. Inhibiting protein synthesis

Correct answer: 4. Inhibiting protein synthesis

Explanation: The diphtheria toxin acts by inhibiting protein synthesis. Specifically, a fragment B heparin binding and fragment A inhibits polypeptide chain elongation in the presence of nicotinamide adenine dinucleotide by inactivating the elongation factor EF-2. It has a special affinity for certain tissues such as the myocardium, adrenals and nerve endings. Reference: Textbook of Microbiology; Anathanarayan and panicker's; 10th edition; Page no: 240